Waardenburg syndrome is due to mutation of
1. PAX2 gene
2. PAX3 gene
3. PAX6 gene
4. PAX9 gene

Correct answer: 2. PAX3 gene

Explanation: Ans. (b) PAX3 gene(Ref: Robbins 9th/pg 140; 8th/pg 140)Waardenburg syndrome (WS):Autosomal dominant inherited conditionHypopigmentation of hair, skin, and/or iris of both eyes (partial albinism); and/or congenital deafness.4 types: Types I and II are the most common forms of Waardenburg syndrome, while types III and IV are rare.Mutations in the EDN3, EDNRB, MITF, PAX3, SNAI2, and SOX10 genes can cause Waardenburg syndrome.